Operation of choice for coalescent mastoiditis is:
1. Cortical mastoidectomy
2. Modified radical mastoidectomy
3. Radical mastoidectomy
4. Fenestration operation

Correct answer: 1. Cortical mastoidectomy

Explanation: Coalescent mastoiditis is treated by cortical mastoidectomy, also known as Schwartz operation. In this operation all mastoid air cells are exenterated leaving posterior canal wall intact.